Glass blowers cataract is caused due to -
1. Wilson's Disease
2. Myotonic Dystrophy
3. Infrared radiation
4. Congenital Rubella

Correct answer: 3. Infrared radiation

Explanation: Ans. is 'c' i.e. Infrared radiation o Glassblower's cataracts is formed by many years or decades of exposure to infrared radiaiton while working in the occupation of glass blowing, or working close to hot or molten metals such with metal foundry workers or blacksmiths.o Glassblower's cataracts are due to chronic exposure to infrared radiation emitted due to heating of glass or molten metal. The infrared radiation is absorbed by the iris and lens of the eye. This causes cataracts after decades of exposure. This condition may be pre vented by wearing protective glasses while practicing these occupations.